A person was given a muscle relaxant that competively blocks nicotinic receptors which of the following drug is used for reversal of muscle relaxation after surgery ?
1. PHYSOSTIGMINE
2. NEOSTIGMINE
3. CARBACHOL
4. SUCCINYL CHOLINE

Correct answer: 2. NEOSTIGMINE

Explanation: Competitive blocker of nicotine receptor ---- d Tubocuropive Neostigmine is ACh esterase inhibitor it increases ACh at the synapse and competitive inhibition can be overcome. ref : KD TRIPATHI 8TH ED